Which of the following amino acid can be synthesised from a glycolytic intermediate in human body?
1. Aspartate
2. Glutamate
3. Histidine
4. Serine

Correct answer: 4. Serine

Explanation: Serine is a dietary non-essential amino acid since it can be synthesised from the glycolytic intermediate 3-phosphoglycerate. Oxidation of 3-phosphoglycerate by a dehydrogenase, converts it to 3-phosphohydroxypyruvate. Transamination and subsequent dephosphorylation then form serine.